Which of the following drugs used in osteoporosis acts both by decreasing the resorption of bone as well as inducing new bone formation ?
1. Teriparatide
2. Ibadronate
3. Strontium ranelate
4. Calcitonin

Correct answer: 3. Strontium ranelate

Explanation: Hyperkalemia Repeat from May 2009